Which of the following is false regarding Frey's syndrome
1. It is also called gustatory sweating
2. It is caused by injury to auriculotemporal nerve
3. It occurs immediately after the parotid surgery
4. It is caused by aberrant regeneration of post ganglionic parasympathetic secretomotorfibers

Correct answer: 3. It occurs immediately after the parotid surgery

Explanation: Frey's syndrome results from parotid surgery due to an injury of auriculotemporal nerve. Ref: Dhingra 6th edition pg. 98